Which of the following is characteristic of a single exposure common vehicle outbreak?
1. Frequent secondary cases
2. Severity increases with increasing age
3. Explosive
4. Cases occur continuously beyond the longest incubation period

Correct answer: 3. Explosive

Explanation: Main features The epidemic curve rises and falls rapidly with no secondary waves The epidemic trend tends to be explosive All cases develop within one incubation period (refer pg no:64 park 23rd edition)